In pterygium, which layer of cornea is involved most often
1. Epithelium
2. Endothelium
3. Bowman's layer
4. Descemet's membrane

Correct answer: 3. Bowman's layer

Explanation: Answer- C. Bowman's layerPterygium is a growth from conjunctiva, In cornea, it involves Bowman's layer."Corneal involvement in pterygia includes infiltration of Bowman's layer, a strong layer of collagen directly beneath the corneal epithelium. Disruption of Bowman's layer leads to scarring.Pterygium is a degenerative and hyperplastic condition of conjunctiva.